Blood : Gas partition coefficient is a measure of ?
1. Potency of anaesthetic agent
2. Speed of induction and recovery
3. Lipid solubility of agent
4. None

Correct answer: 2. Speed of induction and recovery

Explanation: Ans. is 'b' i.e., Speed of induction and recovery Minimum alveolar concentration (MAC) --> Measure of potency. Blood : Gas partition coefficient Blood solubility of anaesthetic agent and determines the speed of induction & recovery. Oil : Gas partition coefficient -4 Lipid solubility of anaesthetic agent and is related to potency of anaesthetic agent.